What should be the thickness of the split-thickness graft:
1. 0.3-0.5mm
2. 0.5-0.7mm.
3. 1-1.15mm
4. 1-1.25mm

Correct answer: 1. 0.3-0.5mm

Explanation: The thickness of split thickness graft is – 0.3 – 0.5 mm
The thickness of full thickness graft is – 1 – 1.15 mm